Squalene is the intermediate product during synthesis of:
1. VLDL
2. Cholesterol
3. Tachysterol
4. Lonosterol

Correct answer: 2. Cholesterol

Explanation: Squalene is formed from six isoprenoid units. It cyclizes to give rise to parent steroid ionosterol from which cholesterol is formed. Must Know: The biosynthesis of cholesterol may be divided into five steps: (1) Synthesis of mevalonate from acetyl-CoA ; (2) Formation of isoprenoid units from mevalonate by loss of CO2 ; (3) Condensation of six isoprenoid units to form squalene ; (4) Cyclization of squalene give rise to the parent steroid, lanosterol. (5) Formation of cholesterol from lanosterol. Ref: Botham K.M., Mayes P.A. (2011). Chapter 26. Cholesterol Synthesis, Transport, & Excretion. In D.A. Bender, K.M. Botham, P.A. Weil, P.J. Kennelly, R.K. Murray, V.W. Rodwell (Eds), Harper's Illustrated Biochemistry, 29e.